Major part of semen is secreted by-
1. Seminal vesicle
2. Cowpers glands
3. Prostate
4. Urethral gland

Correct answer: 1. Seminal vesicle

Explanation: Ans. is 'a' i.e., Seminal vesicl * Seminal vesicle secretions contributes 60% of total volume of semen.Composition of human semenPhysical characterSeminal Vesicle secretions (contributes 60% oftotal volume)From prostate (20% of volume)Buffers* Colour : white, opalescent* Specific gravity : 1.028* Ph: 7.35 -7.50* Sperm-count: ~ 100 million/mL with fewer than 20% abnormal form* Contain hyaluronidase* Fructose (1.5-6.5 mg/ml)* Flavins* Ergothionene* Ascorbic acid* Phosphoryl choline* Prostaglandins* Spermine* Citric acid* Cholesterol* Phospholipids* Fibrinolysin* Zinc* Acid phosphatase* Phosphate* Bicarbonate